VMA is elevated in which of the following condition:
1. Pheochromocytoma
2. Conn’s syndrome
3. Carcinoid syndrome
4. Tuberous sclerosis

Correct answer: 1. Pheochromocytoma

Explanation: Ref. API Textbook of Medicine. Pg. 114
 
VMA is the end product of catabolism of catecholamines.

In pheochromocytoma and neuroblastoma there is excessive synthesis of catecholamines which causes enhanced synthesis of VMA and its excretion in the urine.
VMA is the urinary product of both epinephrine and norepinephrine.